All of the following are signs of successful stellate ganglion block, except:
1. Flushing of face
2. Conjunctival congestion
3. Mydriasis
4. Nasal stuffiness

Correct answer: 3. Mydriasis

Explanation: The stellate ganglion is part of the sympathetic network formed by the inferior cervical and first thoracic ganglia. It receives input from the paravertebral sympathetic chain and provides sympathetic efferents to the upper extremities, head, neck, and heart. The infiltration of local anesthetic has been used to treat a variety of disorders, but it is primarily performed in the setting of reflex sympathetic dystrophy. Stellate ganglion blocks have traditionally been performed blindly by palpating the anterior tubercle of the transverse process of C6 (Chassaignac tubercle) and infiltrating a large volume (as much as 20 mL) of local anesthetic followed by the patient sitting up immediately afterwards so that the gravitational effect allows enough volume to reach the stellate ganglion to result in an effective block. This method has a relatively high failure rate, with numerous significant and even potentially fatal adverse effects signs of successful stellate ganglion block 1. Horner syndrome 2. conjunctival congestion 3. ipsilateral nasal stuffiness 4. tympanic membrane congestion 5. flushing